Level II axillary lymph node:
1. Lateral to pectoralis major and minor
2. Behind pectoralis minor
3. Medial to pectoralis minor
4. Superomedial to pectoralis major

Correct answer: 2. Behind pectoralis minor

Explanation: Level II axillary lymph node is located behind pectoralis minor. Axillary LN Levels in relation with Pectoralis minor Level Relation with Pectoralis minor Axillary LNs Included I Below or lateral Anterior, posterior, lateral II Posterior (behind) Central, Interpectoral (Rotter's nodes) III Medial or above Apical